The term 'schizophrenia' was coined by
1. Eugene Bleuler
2. Sigmund Freud
3. Hecker
4. Johann christian reil

Correct answer: 1. Eugene Bleuler

Explanation: Coined The Term Eugen Bleuler Schizophrenia Sigmund Freud Free association,Oedipus Complex,Penis Envy, Repression,Psychoanalysis Hecker Hebephrenia Johann Christian Reil Father of Psychiatry